A 45 year old lady is having persistent reflux symptoms. Most accurate investigation in establishing the diagnosis before surgical treatment is
1. An UGI series
2. Endoscopy
3. Esophageal manometry
4. 24 hours pH monitoring

Correct answer: 4. 24 hours pH monitoring

Explanation: GERDGERD is often associated with hiatus hernia type IClinical featuresInvestigationsClassical traid: retrosternal burning pain, epigastric pain, and regurgitation.HeaburnsRegurgitationAbdominal painCoughDysphagia for solidsBelchingBloatingManometry for measuring LES tone24 hrs pH monitoringEsophagogram TreatmentLifestyle modifications: cessation of smoking, decreased caffeine intake and avoidance of large meal at nightMedical management: double dose of PPI'SSurgical therapy: laparoscopic Nissen's fundoplication, modern fundoplication, 3600 floppy fundoplication (Refer: Sabiston's Textbook of Surgery, 19th edition, pg no: 1081)